Child with bouts of laughter, what should be the possible diagnosis ?
1. Russel silver syndrome
2. Angelman syndrome
3. Prader willi syndrome
4. Fragile X syndrome

Correct answer: 2. Angelman syndrome

Explanation: ANGELMAN SYNDROM/Happy puppet syndrome Bouts of laughter, intellectual disability, cerebella ataxia and severe developmental delay, Malformations of the skull and facial bones, seizures RUSSELL SILVER SYNDROME - Short stature , Triangular facies PRADER WILLI SYNDROME - Obesity, Feeding difficulty, Intellectual disabilities FRAGILE X SYNDROME as- XL dominant ,Elongated face, large ears, large testis